The first drug used as local anaesthetic is ?
1. Cocaine
2. Prilocaine
3. Procaine
4. Lidocaine

Correct answer: 1. Cocaine

Explanation: Ans. is'a' i.e., CocaineCocaine was the first local anaesthetic used by Carl Koller. It was used for anaesthetizing cornea.